Most severely affected child in Rh-isoimmunisation patients :
1. Rh negative mother with Rh positive in 2nd child
2. Rh positive mother with Rh negative in 2nd child Rh positive mother with Rh negative in 15' child
3. Rh positive mother with Rh negative in 15' child
4. Rh positive mother with Rh positive in 2"'d child

Correct answer: 1. Rh negative mother with Rh positive in 2nd child

Explanation: Rh negative mother with Rh positive in 2nd child